In standing position, Venous return to heart from lower limbs is affected by all of the following except:
1. Competant valves
2. Deep fascia
3. Arterial pressure
4. Contraction of calf muscles

Correct answer: 3. Arterial pressure

Explanation: Arterial pressure Factors affecting venous return from lower limbs:a. Muscle contraction- Venous return from lower limb depends largely on muscular activity, especially contraction of the calf muscles, known as the 'calf pump'II Deep fascia - Efficiency of muscular pump is aided by the tight sleeve of deep fascia (deep fascia prevents outward bulge of the contracting muscles thus aiding in more effective compression of the veins.c. Valves - Valves are of great importance in maintaining unidirectional flow as blood is moved towards the heart by intermittent muscular contractions.Valves prevent the reverse flow.Negative intrathoracic pressure made more negative during inspiratione.Arterial pulsation of the arteries accompanying veins.